A drug 'X' belongs to the anticholinergic drug group. It is primarily used in pre anesthetic medication and also during surgery. Which of the following can be 'X' ?
1. Glycopyrrolate
2. Pipenzolate methyl bromide
3. Isopropamide
4. Dicyclomine

Correct answer: 1. Glycopyrrolate